WHICH OF THE FOLLOWING DRUGS IS USED AS NAIL LACQUAR FOR FUNGAL INFECTIONS?
1. TERBINAFINE
2. ITRACONAZOLE
3. NYSTATIN
4. FLUCANAZOLE

Correct answer: 1. TERBINAFINE

Explanation: NAIL LACQUER IS USED FOR TREATMENT OF ONCHOMYCOSIS CONTAINS TOPIC 10% TERBINAFINE REF: KD TRIPATHI 8TH ED